Optic nerve injury following sinus surgery (FESS) is due to removal of which ethmoidal cells?
1. Haller
2. Agger nasi
3. Onodi cells
4. Bullae cells

Correct answer: 3. Onodi cells

Explanation: Ans: (c) Onodi cellsRef: Diseases of the Ear, Nose and Throat by PL Dhingra, 7th edition, 2018, Page 210Haller cells are a type of ethmoidal cells which are situated in the roof of maxillary sinus. Sometimes they may enlarge and block the opening of the maxillary sinus leading to maxillary sinusitis.Agger nasi is an elevation just anterior to the attachment of middle turbinate and can contain the agger nasi cell. An enlarged agger nasi cell can block the frontal sinus drainage and lead to frontal sinusitis.Bula ethmoidalis is the ethmoidal cell situated behind the uncinate process and forms the posterior boundary of hiatus semilunaris through which the maxillary, frontal and anterior ethmoidal sinuses drain.Onodi cell is the posterior ethmoidal cell related superiorly or laterally to the sphenoid sinus. The optic nerve lies in its lateral wall and can be injured while operating in this cell.